Carbohydrate reserve of human adult is:
1. 100 g
2. 200 g
3. 500 g
4. 1100 g

Correct answer: 3. 500 g

Explanation: Carbohydrate reserve of human adult is 500 g. This reserve is rapidly exhausted while fasting. Ref: Park 22nd edition, page 568